Increased ratio of insulin to glucagon causes:
1. Decreased levels of cyclic AMP
2. Decreased levels of lipoprotein lipase
3. Decreased amino acid synthesis
4. Enhanced lipolysis in adipose tissue

Correct answer: 1. Decreased levels of cyclic AMP

Explanation: Glucagon acts via increase in intracellular cAMP. So, in high insulin glucagon ratio, cAMP level in the cell decreases. Insulin causes activation of lipoprotein lipase and inhibition of hormone-sensitive lipase. Because of this, there is increased fatty acids synthesis in adipose tissue. Insulin also increases amino acid uptake and protein synthesis in muscles. Normal insulin-glucagon molar ratio on a balanced diet is approximately 2.3.